In epidural lumbar puncture, all structure are pierced except:
1. Posterior longitudinal ligament
2. Ligamentous flavum
3. Interspinous ligament
4. Supraspinous ligament

Correct answer: 1. Posterior longitudinal ligament

Explanation: A i.e. Posterior longitudinal ligamentPosterior longitudinal ligament lies along the posterior surface of vertebral bodies. So it would not be pierced during lumber puncture.